Which of the following are hardest renal stones
1. Calcium Oxalate
2. Struvite
3. Xanthine
4. Cysteine

Correct answer: 1. Calcium Oxalate

Explanation: Answer- A. Calcium OxalatePure calcium phosphate stones and calcium monohydrate stones are the densest per volume ofstone.Among the given options calcium oxalate stones are densest (hardest).